After 50 gm of glucose is fed orally, there is
1. Decreased ketone body production
2. Increased lactate production upon exercise
3. Decreased gluconeogenesis
4. All of these

Correct answer: 4. All of these

Explanation: The examiner is asking about the metabolic change in absorptive (fed) state.
In Absorptive (fed) state there is a decrease in gluconeogenesis.
Ketogenesis (ketone body production) is also reduced in the fed state.
Exercising muscles use glucose anaerobically and produce lactate.